Drug resistance in Tuberculosis is due to-
1. Transformation
2. Transduction
3. conjugation
4. Mutation

Correct answer: 4. Mutation